USG velocity
1. Increases in frequency in a medium
2. Equal to Ultrasound frequency
3. Equal to Ultrasound wavelength
4. Is lower in tissues with a higher fat or water content

Correct answer: 4. Is lower in tissues with a higher fat or water content

Explanation: Answer: d) Is lower in tissues with a higher fat or water contentUltrasound velocity:It is a product of the frequency and wavelengthIt is inversely proportional to the square root of the material densityUltrasound travels faster in stiff, non-compressible mediaVelocity in a given medium is virtually independent of the frequency. With velocity being constant, an increase in the frequency causes a proportional decrease in wavelengthThe velocity of ultrasound in fat and water is lower than in an average soft tissue.